Bulb of posterior horn of lateral ventricle is formed by
1. Collateral sulcus
2. calcarine sulcus
3. Forceps major
4. Stria terminalis

Correct answer: 3. Forceps major

Explanation: Bulb of posterior horn is present on medial wall of posterior horn of lateral ventricle and is formed by fibers of forceps major.